Fluorescein dye study is done to detect
1. Assess retinal function of babies
2. Retinal vascular pathology
3. Macular pathology
4. Posterior segment of eye

Correct answer: 2. Retinal vascular pathology

Explanation: A fluorescein angiography is a medical procedure in which a fluorescent dye is injected into the bloodstream. The dye highlights the blood vessels in the back of theeye so they can be photographed.Retinal vascular disorders e.g., diabetic retinopathy and central retinal vein occlusion Reference : A K KHURANA Comprehensive Ophthalmology; edition 4; page-273